Which of the following is a manifestation of Copper sulphate poisoning?
1. Acute hemolysis
2. High anion gap acidosis
3. Peripheral neuropathy
4. Rhabdomyolysis

Correct answer: 1. Acute hemolysis

Explanation: Acute copper sulphate poisoning can manifest with acute hemolysis. The pathogenesis of this effect is not known but may be related to copper induced oxidation of intracellular glutathione, hemoglobin and NADPH as well as inhibition of Glucose 6 phosphate dehydrogenase by copper. Patients with acute copper poisoning presents with severe nausea, vomiting, thirst, metallic taste in mouth, burning pain and salivation. Oliguria, hematuria, uremia and albuminuria is also seen. Patients usually die of shock. Ref: Toxicology of Metals, Volume 1 edited by Louis W. Chang, page 941. Concise Textbook Of Forensic Medicine & Toxicology By Sharma page 267.